True about suppositious child:
1. Child who is born after father dies
2. Child born through artificial insemination
3. Woman claim the child as her own
4. Child born out of wedlock

Correct answer: 3. Woman claim the child as her own

Explanation: Ans., Woman claim the child as her own